Congenital adrenal hyperplasia (CAH) is associated with which of the following?
1. Male pseudohermaphroditism
2. Female pseudohermaphroditism
3. True hermaphroditism
4. Cushing syndrome

Correct answer: 2. Female pseudohermaphroditism

Explanation: Ref. Guyton. 13th edition. Page. 781
Congenital Adrenal Hyperplasia Types
21 β-Hydroxylase deficiency

Accounts for about 90% of the cases  
75% of the cases have mineralocorticoid deficiency  
Neonates may present with a salt-wasting crisis.  
Salt wasters tend to have hyponatremia, hyperkalemia, and raised plasma renin.  
17-hydroxyprogesterone is elevated.  
Increased androgens lead to virilization of the female fetus and sexual ambiguity at birth  
Males are phenotypically normal at birth but develop precocious pseu- do puberty, growth acceleration, premature epiphyseal plate closure, and diminished final height.  
Goal in treatment is to bring glucocorticoid and mineralocorticoid back to the normal range which would also suppress adrenal androgen secretion.  
Give hydrocortisone to act as feedback inhibition on pituitary

11 β-Hydroxylase deficiency  

Clinical features of increased androgens similar to the preceding form,  including virilization of female fetus.  
The principal difference with this form is the hypertension produced by 11-deoxycorticosterone, along with hypokalemia and suppressed renin secretion.  
Treatment for all forms of CAH is glucocorticoids such as hydrocortisone and dexamethasone.  

17 α-Hydroxytlase deficiency  

Extremely rare  
Usually diagnosed at the time of puberty when the patient presents with hypertension, hypokalemia, and hypogonadism  
Individuals have eunuchoid characteristics.